Features of alcohol withdrawal are all except-
1. Epileptic seizure
2. Restlessness
3. Hypersomnolence
4. Hallucination

Correct answer: 3. Hypersomnolence

Explanation: Insomnia occurs (not hypersomnolence).